Amino sugar are formed from-
1. a) Glucose- 1- phosphate
2. b) Glucose -6- phosphate
3. c) Fructose- 1- phosphate
4. d) Fructose- 6- phosphate

Correct answer: 4. d) Fructose- 6- phosphate

Explanation: They are synthesized from fructose -6- phosphate